Gelastic seizures are seen in
1. Hypothalamic hamartoma
2. Subarachnoid tumor
3. Sheehan syndrome
4. All of the above

Correct answer: 1. Hypothalamic hamartoma

Explanation: Gelastic seizures is burst of energy usually in form of laughing or crying occurs in hypothalamic hamartoma.